The Nerve affected in Shoulder dysfunction Syndrome - A complication of Radical Node dissection is:
1. Vagus nerve
2. Accessory nerve
3. Hypoglossal Nerve
4. Phrenic Nerve

Correct answer: 2. Accessory nerve

Explanation: Ans. (b) Accessory nerveRef: Bailey and Love Page 72Complications of RND:* Accessory nerve injury (Shoulder dysfunction syndrome)* Phrenic nerve injury* Thoracic duct injury* Cranial nerve injury* Carotid artery injury/Blow out* Soft tissue edema (usually after Bilateral RND)